Helper and cytotoxic cells belong to:
1. T cells
2. B cells
3. Monocytes
4. Macrophages

Correct answer: 1. T cells

Explanation: A i.e. T cells